Treatment of choice for melanoma is:
1. Chemotherapy
2. Surgical excision
3. Radiotherapy
4. Surgery and chemotherapy

Correct answer: 2. Surgical excision

Explanation: Treatment Surgical excision with Sentinel lymph node biopsy Margins to be taken depends on the tumor thickness and depth of invasion * < 1mm thickness - 1 cm margin * 1-4 mm thickness - 2cm margin * > 4mm thickness - 2-3 cm margin Malignant Melanoma is a radio resistant tumor *